All of the following arteries supply medulla oblongata, except -
1. Posterior inferior cerebellar artery
2. Anterior spinal artery
3. Anterior inferior cerebellar artery
4. Vertebral artery

Correct answer: 3. Anterior inferior cerebellar artery

Explanation: Ans. C. Anterior inferior cerebellar arteryBlood supply of Medulla oblongata-a. Posterior inferior cerebellar artery (PICA) supplies the lateral aspect of the medullab. Anterior spinal artery supplies the entire medial aspectc. Direct branches of the distal vertebral artery supply an area between the other two main arteries